Salmon patch usually disappears by age -
1. One mouth
2. One year
3. Puberty
4. None of the above

Correct answer: 2. One year